Which of the following is not associated with a high reticulocyte count?
1. Acute bleed
2. Hemolytic anemia
3. Megaloblastic anemia
4. Response to treatment in nutrition deficiency anemia

Correct answer: 3. Megaloblastic anemia

Explanation: - High reticulocyte count is seen in : Hemolytic anemias Acute bleeding In response to treatment in nutritional deficiency anemia - Megaloblastic anemia is a nutritional anemia, & it results in low reticulocyte count